Primary impact injury is most common in
1. Head
2. Chest
3. Abdomen
4. Leg

Correct answer: 4. Leg

Explanation: D i.e. Leg In pedistrian injuries, legs are most commonly involvedQ (85%) followed by head (50 -80%) > arms > pelvis > chest or abdomen > neck & spineQ. Most common type of primary impact injury is bumper injuries of legsQ d/t vehicle hitting from front.